TRUE about immunoglobulins is :
1. IgE fixes complements
2. IgM fixes complements.
3. IgG is found in minimum concentration.
4. IgG is elevated in primary immune response.

Correct answer: 2. IgM fixes complements.

Explanation: Ans. is 'b' i.e. IgM Fixes complement. Important facts about Immuno globinsImmunoglobulin to fix complements via classical pathway - IgG & IgM (IgM- IgG)*Immunoglobulin to fix complements via Alternate pathway - IgA & IgD*Immunoglobulin with ,maximum serum cone -IgG*Immunoglobulin with minimum serum cone -IgE*Heat Labile Immunoglobulin -IgE*Immunoglobulin in primary immune response -IgM*Immunoglobulin in 2ndary immune response -IgG*Immunoglobulin with maximum molecular weight -IgM*Immunoglobulin present in milk - IgA & IgG*Immunoglobulin with maximum sedimentation coefficient -IgM*Immunoglobulin with shortest 1/2 life -IgE*Immunoglobulin in sero mucinous Glands -IgG & IgA*Ig resp. for hypersensitive pneumonitis -Ig G*Ig mediating the Prausnitz Kustner reaction -Ig E*Homo cytotropism is seen in which Ig -Ig E*